A 60 year old female is suffereing from renal failure and is on hemodialysis since last 8 years. She developed carpal tunnel syndrome. Which of the following will be associated? -
1. AL
2. AA
3. ATTR
4. Beta 2 microglobulin

Correct answer: 4. Beta 2 microglobulin

Explanation: Reference :Robbins basic pathology 9th edition page no 158:Deposition of beta2 microglobulin amyloid in patients receivi g long term dialysis occurs most commonly in the carpal ligaments of the wrist resulting in compression of the median nerve leading to carpal tunnel syndrome